Health education ?
1. Is health promotion
2. Is health distortion
3. Is delivered through public health agencies only
4. Does not help in prevention of cancer

Correct answer: 1. Is health promotion

Explanation: Ans. is 'a' i.e., Health promotion Health education Health education is the profession of educating people about health. D It is the principal by which individuals and groups of people learn to behave in a manner conducive to - i) Promotion of health ii) Maintenance of health iii) Restoration of health WHO definition of health education "Health education comprise conciously constructed opportunities for learning involving some form of communication designed to improve health literacy, including improving knowledge, and developing life skills which are conducive to individual and community health".